Causative agent of donovanosis is:-
1. Klebsiella Granulomatis
2. T. pallidum
3. Chlamydia trachomatis
4. L. donovani

Correct answer: 1. Klebsiella Granulomatis

Explanation: Donovanosis (Granuloma Inguinale And Granuloma Venereum) Donovanosis is a chronic, progressively destructive bacterial infection of the genital region caused by caused by Klebsiella granulomatis. It is an intracellular, gram-negative, pleomorphic, encapsulated (when mature) bacteria. T. pallidum causes Syphilis. Chlamydia trachomatis causes LGV. L. donovani causes Kala Azar Note Nucleic acid amplification test (NAAT) is the gold standard test for diagnosis of Chlamydia